A 46-year-old man is on a waiting list to secure a renal transplant. The genetic locus of transplant antigens in humans is known as which?
1. Rhesus (Rh)
2. Ig (Immunoglobulin) A and IgM
3. Human leukocyte antigen (HLA)
4. ABO

Correct answer: 3. Human leukocyte antigen (HLA)

Explanation: HLA was one of the first studied antigens. The transplant antigen is located on the surface. The strongest transplant antigen is known as the major histocompatibility complex (MHC) and is found in humans on chromosome 6. The higher the number of MHC matches, the better chance of survival for the allograft. However, zero MHC-matched grafts have been placed due to overwhelming demands. On the other hand, mismatch in ABO and Rh group results in hyperacute rejection are elevated.